Spalding sign is seen in -
1. Abortion
2. Still birth
3. IUD
4. Infanticide

Correct answer: 3. IUD

Explanation: Ans. is 'c' i.e., IUD o One important radiological sign suggestive of maceration in intrauterine death is Spaulding sign, i.e. skull bones over ride each other.